Visual acuity is:
1. Refractive power of eye
2. Dividing denominator with distance at which the letters can be read on Snellen chart
3. Ability to increase converging power of eye
4. Ability to discriminate 2 points

Correct answer: 4. Ability to discriminate 2 points

Explanation: Ans: D i.e. Ability to discriminate 2 points Some common terms Refractory power/ optical power is the ability of eye to bend light as it passes through the eye The minimum angle of resolution (MAR) is arrived at by dividing the denominator by the distance at which the letters were read The necessary increase in convergence power of eye is (accomplished by augmenting the refractive power of the crystalline lens by increasing the curvature of its surface) by the phenomenon of accommodation. Visual acuity is a measure of the spatial resolution of the eye or, in other words, an estimation of its ability to discriminate between 2 points